According to The Workmen's Compensation Act, 1923, which of the following is considered an occupational disease
1. Typhoid
2. Anthrax
3. Tetanus
4. Dengue

Correct answer: 2. Anthrax

Explanation: Ans. b. Anthrax